All of the following are skin substitute except:
1. Duoderm
2. Integra
3. Alloderm
4. Trancyte

Correct answer: 1. Duoderm

Explanation: - Skin substitutes are a type of dressing which is naturally derived from cells, extracellular matrix components or other components of skin. - It includes: Integra: A bilayered membrane skin substitute. AlloDerm: An acellular cadaveric dermis. Apligraf: A living bilayered biologic dressing composed of neonatal dermal fibroblasts on a collagen matrix. Trancyte: A tissue-engineered skin substitute is made from a nylon mesh and a silastic semi permissible and biocompatible layer. Duoderm is not a skin substitute it is a type of hydrocolloid which is composed of hydrocolloid matrix (gelatin, pectin, carboxymethylcellulose)